Indications of liver transplantation are all, except:
1. Biliary atresia
2. Sclerosing cholangitis
3. Hepatitis A
4. Cirrhosis

Correct answer: 3. Hepatitis A